Chicken pox vaccine is-
1. Live vaccine
2. Killed vaccine
3. Conjugated vaccine
4. None

Correct answer: 1. Live vaccine

Explanation: chicken pox vaccine:- Live attenuated vaccine Recommended for children between 12-18 months of age who do not have had chicken pox. Monovalent vaccine-0.5 ml one/two doses each by subcutaneous injection. 2 dose schedule adviced for all persons aged> 13 yrs with a minimum interval of 6weeks/3months for children and 4/6 weeks for adults. Combination vaccine- 9-12 months old children. 2doses. Minimum interval being 4 weeks. Duration of immunity-10yrs. Adverse reactions- tenderness , erythema,fever, maculopapular/vesicular rash. Contraindicated in persons allergic to neomycin. Following vaccination,salicylates should be avoided for 6 weeks to prevent Reye's syndrome. {Reference: park's textbook of preventive and social medicine, 23rd edition, pg no.146}